True abour Herpes virus
1. HSV 1 causes encephalitis
2. EBV affects
3. CMV is always symptomatic
4. Herpes zoster is not activated

Correct answer: 1. HSV 1 causes encephalitis

Explanation: HSV encephalitis though rare is most common sporadic acute viral encephalitis in most parts of the world. REF:ANATHANARAYAN AND PANIKER'S TEXTBOOK OF MICROBIOLOGY 8TH EDITION PAGE NO:469